Which form of DNA is predominantly seen:
1. A
2. C
3. B
4. Z

Correct answer: 3. B

Explanation: C i.e. B The most common form of DNA is B- DNAQ. Within the cells most of DNA is B -DNA, although regions rich in guanine and cytosine base pairs may assume Z- conformation.